Hvpervitaminosis A causes -
1. Benign cranial hypertension
2. Craniotabes
3. Liver damage
4. All of above

Correct answer: 4. All of above

Explanation: Ans. is 'd' i.e., All of above Vitamin A Toxicityo Anorexia, slow growth, drying and cracking of skin, enlargement of liver and spleen, swelling and pain of long bones, bone fragility", increased intracranial pressure, alopecia, carotenemia; fetal abnormalities.Vitamin A deficiencyo Nyctalopia, photophobia, xerophthalmia, Bitot spots, conjunctivitis, keratomalacia leading to blindness, faulty- epiphyseal bone formation; defective tooth enamel; keratinization of mucous membranes and skin: retarded growth; impaired resistance to infection, anemia, reproductive failure, fetal abnormalities.